Fluconazole differs from ketoconazole in the following aspect
1. It is not active by the oral route
2. It is a more potent inhibitor of drug metabolism
3. It is not effective in cryptococcal meningitis
4. It is unlikely to produce anti-androgenic side effects

Correct answer: 4. It is unlikely to produce anti-androgenic side effects

Explanation: Fluconazole is a preferred agent because it has

Very good oral absorption.
Maximum CNS penetration. (therefore effective in cryptococcal meningitis).
No inhibitory action on microsomal enzymes.
No anti-androgenic property.